The posterior urethra is best visualized by:
1. Static cystogram
2. Retrograde urethrogram
3. Voiding cystogram
4. CT cystogram

Correct answer: 3. Voiding cystogram

Explanation: Ans. Voiding cystogram